Which of the following maternal factors is most commonly associated with first-trimester pregnancy loss?
1. Advanced maternal age
2. Incompetent cervix
3. Intrauterine infection
4. Hyperemesis gravidarum

Correct answer: 1. Advanced maternal age

Explanation: The incidence of First trimester abortions increases dramatically after maternal age exceeds 35 years.